True about Retinoblastoma –a) Leukocoria is most common presentationb) Always unilateralc) May have family historyd) Enucleation is the only treatmente) Most common age group affected is 1–2 year
1. acd
2. bde
3. ace
4. ade

Correct answer: 3. ace

Explanation: Leukocoria (amaurotic cat's eye appearance) is the commonest feature of retinoblastoma.
70-75% of retinoblastoma are unilateral and 25-30% are bilateral.
Hereditary retinoblastoma may have positive family history.
Various treatment options are available (not only enucleation).
Most common age group is 1-2 years.